Prolonged use of topical steroids causes
1. Open angle glaucoma
2. Uveitis
3. Macular edema
4. Conjunctival papillae

Correct answer: 1. Open angle glaucoma

Explanation: Prolonged usage of topical steroids causes open-angle glaucoma. Posterior subcapsular cataracts are induced by long-term systemic steroids. Patients develop open-angle glaucoma particularly if predisposed. Precise mechanism is unknown but due to decreased aqueous outflow. Topical corticosteroids induce a rise in IOP faster than systemic steroids. Topical corticosteroids predispose to cataract, glaucoma and secondary surface infections. Ref Harrison 20th edition pg 1234